Most common acute complication of dialysis is
1. Hypotension
2. Bleeding
3. Dementia
4. Muscle cramps

Correct answer: 1. Hypotension

Explanation: Ans. is 'a' i.e., Hypotension Hypotension is the most common acute complication of hemodialysis particularly among patients with diabetes mellitus. Factors involved are :- Excessive ultrafiltration, with inadequate compensatory vascular filling, impaired vasoactive or autonomic response, osmolar shifts, overzealous use of antihypertensives